Nysten's rule is related to
1. Order of appearance of post mortem caloricity
2. Time since death
3. Order of appearance of decomposition
4. Order of appearance of rigor mortis

Correct answer: 4. Order of appearance of rigor mortis

Explanation: The Order of Appearance of Rigor All muscles of the body, both voluntary and involuntary are affected. It does not start in all muscles simultaneously (Nysten's rule). It first appears in involuntary muscles; the myocardium becomes rigid in an hour. It begins in the eyelids, neck and lower jaw and passes upwards to the muscles of the face, and downwards to the muscles of the chest, upper limbs, abdomen and lower limbs and lastly in the fingers and toes. In individual limbs, it usually progresses from above downwards. Such a sequence is not constant, symmetrical or regular. In individual limbs, it disappears in the same order in which it has appeared. Shapiro (1950) suggests that rigor mortis does not follow the anatomical sequence usually described. He suggests that as rigor mortis is a physicochemical process, it is most likely to develop simultaneously in all the muscles, although the changes are more easily first detected in the smaller masses than in the larger. The proximo-distal progression is more apparent than real, for the sequence is determined by the bulk and kind of muscle involved. Ref:- k s narayan reddy; pg num:-161